All are features of neurosis except
1. Symptoms cause subjective distress
2. Contact with reality preserved
3. Personality disturbances
4. Insight is maintained

Correct answer: 3. Personality disturbances

Explanation: DSM-5 lists ten specific personality disorders: paranoid, schizoid, schizotypal, antisocial, borderline, histrionic, narcissistic, avoidant, dependent and obsessive-compulsive personality disorder.